Craig's cyst is:
1. Paradental cyst.
2. Buccal bifurcation cyst.
3. Collateral cyst.
4. All of the above.

Correct answer: 4. All of the above.

Explanation: Paradental cyst is associated with vital tooth and mandibular 3rd molar, recurrent pericoronitis.